Nerve affected in trendenlenberg test is ?
1. Superior gluteal nerve
2. Inferior gluteal nerve
3. Obturator nerve
4. Pudendal nerve

Correct answer: 1. Superior gluteal nerve

Explanation: Ans. is 'a' i.e., Superior gluteal nerve